A trained dal caters for a population of -
1. 1000
2. 2000
3. 3000
4. 4000

Correct answer: 1. 1000

Explanation: Ans. is 'a' i.e., 1000 Local dais (Traditional birth attendants) Under Rural Health Scheme, all categories of local dies are trained to improve their knowledge in the elementry concepts of : - i) MCH ii) Sterilization (Small family norm) Training Training is for 30 working days. o They are paid a stipend o/ Rs. 300 during training period. o Training is given for 2 days in a week at PHC, subcentre or MHC centre. o On the remaining four days of the week they accompany the health worker female. o During her training period each dai is required to conduct at least 2 deliveries under the supervision of health worker. The national target is to train one local dai in each village. Note : One village is equivalent to 1000 rural population.